Screening of neonatal thyroid disease is done by
1. T4
2. T3
3. TSH
4. TPO antibodies

Correct answer: 3. TSH

Explanation: Since the neonates are asymptomatic at birth all newborns are screened for neonatal hypothyroidism. TSH is estimated either in cord blood at the time of birth (preferred) or blood obtained from heel prick after 2 days of birth.(Refer: Nelson's Textbook of Pediatrics, SAE, 1st edition, pg no. 2669 - 2773)